ABC transporter
1. P glycoprotein
2. Membrane sparing
3. Channel
4. Adenylyl cyclase

Correct answer: 1. P glycoprotein

Explanation: P-glycoprotein 1 (permeability glycoprotein, abbreviated as P- gp or Pgp) also known as multidrug resistance protein 1 (MDR1) or ATP-binding cassette sub-family B member 1 (ABCB1) or cluster of differentiation 243 (CD243) is an important protein of the cell membrane that pumps many foreign substances out of cells. More formally, it is an ATP-dependent efflux pump with broad substrate specificity. It exists in animals, fungi, and bacteria and likely evolved as a defense mechanism against harmful substances. (Ref: